Carbon dioxide transported in blood mostly as
1. Carnbon HRTb
2. In combination with plasma proteins
3. Bicarbonate
4. Carbonic acid dissolved in plasma

Correct answer: 3. Bicarbonate

Explanation: Transport of Carbon Dioxide in the Blood Carbon dioxide molecules are transported in the blood from body tissues to the lungs by one of three methods: dissolution directly into the blood, binding to hemoglobin, or carried as a bicarbonate ion. Several properties of carbon dioxide in the blood affect its transport Ref: guyton and hall textbook of medical physiology 12 edition page number:359,360,361